String sign on barium meal is seen in:
1. Duodenal atresia
2. Intestinal obstruction
3. Duodenal ulcer
4. Congenital hypertrophic pyloric stenosis

Correct answer: 4. Congenital hypertrophic pyloric stenosis

Explanation: Diagnosis: Palpation of the pyloric tumor or olive in the epigastrium or right upper quadrant by a skilled examiner is pathognomonic of the diagnosis of HPSQ If the olive is palpated, no additional diagnostic testing is necessaryQ. IOC - USG ABDOMEN. Barium Meal: - String SignQ:indicating a narrowed elongated pyloric canal that does not relax is seen - Shoulder SignQ caused by t he hypertrophied muscle indenting the antrum - Double - track signQ: Caused by the redundant mucosa.